Which of the following is NOT one of the degrees of health as per spectral concept of health?
1. Good Health
2. Better Health
3. Positive Health
4. Freedom from Sickness

Correct answer: 1. Good Health

Explanation: The spectral concept of health states that health of an individual is not static and varies between a continuum of various degrees of health or severity of illness as follows: Positive health Better health Freedom from sickness Unrecognised sickness Mild sickness Severe sickness Death Ref: Park, 21st Edition, Page 19